Triplex DNA is due to
1. Hoogsteen pairing
2. Palindromic sequences
3. Large no. of guanosine repeats
4. Polypyramidine tracts

Correct answer: 1. Hoogsteen pairing

Explanation: Triple-stranded DNA is a DNA structure in which three oligonucleotides wind around each other and form a triple helix. In this structure, one strand binds to a B-form DNA double helix through Hoogsteen or reversed Hoogsteen hydrogen bonds. For example, a nucleobase T binds to a Watson-Crick base-pairing of T-A by Hoogsteen hydrogen bonds between an AxT pair (x represents a Hoogsteen base pair). An N-3 protonated cytosine, represented as C+, can also form a base-triplet with a C-G pair through the Hoogsteen base-pairing of an GxC+. Thus, the triple-helical DNAs using these Hoogsteen pairings consist of two homopyrimidines and one homopurine, and the homopyrimidine third strand is parallel to the homopurine strand.